All the following are conjugate vaccines Except
1. Haemophilus influenzae type b
2. Pneumococcal
3. Neisseria meningitidis
4. Hepatitis A

Correct answer: 4. Hepatitis A

Explanation: Subunit Vaccines* Haemophilus--purified capsular polysaccharide conjugated to protein* Neisseria meningitidis--capsular polysaccharides, pediatric version is conjugated to protein* Pneumococcal--capsular polysaccharide (7 and 23 serotypes) (pediatric version is conjugated to protein) Ref : Ananthanarayana textbook of Microbiology 9th edition Pgno : 83